Modality that is lost on the ipsilateral side in Brown sequard syndrome is :
1. Pain
2. Temperature
3. Crude touch
4. Proprioception

Correct answer: 4. Proprioception

Explanation: D i.e. Proprioception